GCS max score is -
1. 3
2. 15
3. 6
4. 18

Correct answer: 2. 15

Explanation: Ans. is 'b' i.e., 15